Commonest carcinoma in elderly male is ?
1. Stomach
2. Lung
3. Esophagus
4. Prostate

Correct answer: 4. Prostate

Explanation: Ans. is 'd' i.e., Prostale o Most common carcinoma in male Prostate o Most common carcinoma in female --> Breast o Most common cancer causing death, both in male and female --> Lung.